The Myer-Cotton grading system is used for:
1. Subglottic stenosis
2. Tonsillitis
3. Sinisitis
4. None of the above

Correct answer: 1. Subglottic stenosis

Explanation: The Myer-Cotton grading system describes the severity of stenosis according to the percentage of subglottic stenosis present. The percentage is calculated by measuring the largest sized endotracheal tube that can be passed through the subglottis and comparing this with the age-appropriate tube size for the child